Deficiency of which vitamin affects tooth development?
1. Carbohydrates
2. Vitamin E
3. Vitamin B
4. Vitamin A

Correct answer: 4. Vitamin A